Not a characteristic feature of Lowe's syndrome
1. Defect in CNS and eye
2. Undescended testes
3. Mental deterioration
4. Hypophosphatemic rickets

Correct answer: 2. Undescended testes

Explanation: Oculocerebrorenal syndrome (also called Lowe syndrome) is a rare X-linked recessive disorder characterized by congenital cataracts, hypotonia and areflexia, intellectual disability, proximal tubular acidosis, aminoaciduria, phosphaturia, and low-molecular-weight proteinuria. Glaucoma is present in about 50% of cases.